Penicillinase resistant penicillin is :
1. Methicillin
2. Ampicillin
3. Carbenecillin
4. Ticarcillin

Correct answer: 1. Methicillin